Hep-2 cells are a type of-
1. Primary cell cultures
2. Diploid cell strain
3. Continuous cell lines
4. Explant culture

Correct answer: 3. Continuous cell lines

Explanation: Ans. is 'c', i.e. Continous cell lines